Which of following is hypertonic?
1. 5%dextrose
2. 0.45% normal saline
3. 0.9%normal saline
4. 3% normal saline

Correct answer: 4. 3% normal saline

Explanation: 3% normal saline REF: Fluids & electrolytes by By Lippincott Williams & Wilkins page 264 Isotonic Hypertonic Hypotonic Dextrose 5% in water 5% dextrose in half normal saline 0.45% normal saline 0.9% normal saline (NaC1) 5% dextrose in normal saline Ringer lactate Dextrose 10% in water